An antipsychotic drug with a least extrapyramidal side effect is:
1. Triflupromazine
2. Thioridazine
3. Pimozide
4. Trifluoperazine

Correct answer: 2. Thioridazine